Which is NOT a 2nd generation antihistaminic?
1. Loratidine
2. Acrivastatine
3. Cyclizine
4. Terfenidine

Correct answer: 3. Cyclizine